In Neonatal cholestasis direct bilirubin is -
1. >10%
2. >15%
3. >20%
4. >25%

Correct answer: 3. >20%

Explanation: Ans. is 'c' i.e., >20% Neonatal cholestasiso Prolonge elevation of serum level of conjugated bilirubin beyond the 1st 14 days of life,o Causes may be:InfectiousGeneticMetabolicMechanical obstruction (Biliary)IdiopathicPathological Jaundice (Ghai TYep. 147)STB (Serum Total bilirubin) > 5 mg;dl DI10mg''dID212-13 thereaftero Appearence of Jaundice within 24 hour,o Jaundice beyound 3 week (In Nelson beyond 2 week),o Conjugated bilirubin.o Direct reacting bilirubin >2 mg'dl at any time, or more than 20% of total serum bilirubin (Journal America! Family Physician)--Feb. 2000